Total number of dorsal interossei
1. 2
2. 3
3. 4
4. 5

Correct answer: 3. 4

Explanation: There are 4 dorsal interossei muscles and 4 palmar interossei muscles. Dorsal and palmar interossei are supplied by the deep branch of the ulnar nerve. Dorsal interossei help in the abduction of digits. Ref: BD Chaurasia 7th edition; Page no: 182